Which of the following is commonly used for
immobilization of the head in a non-compliant patient?
1. Papoose Board
2. Pedi-Wrap
3. Forearm-body support
4. All of the above

Correct answer: 3. Forearm-body support